ova form in stool is not diagnostic in
1. strongyloides
2. ancylostoma
3. ascaris lumbricoides
4. nector americanus

Correct answer: 1. strongyloides

Explanation: strongyloides is oviviviparous hence eggs hatch immediately to produce rhabditi form larva which is the diagnostic form in stool ref : paniker 8th ed